In type I DM true about -a) 90% family H/Ob) Antibodies aganist β cellsc) Insulin given to Rx DKAd) D.K.A occurence
1. abc
2. bcd
3. ac
4. bd

Correct answer: 2. bcd